In rectus sheath, branch of which artery makes an anastomosis with superior epigastric artery
1. Subclavian Artery
2. External iliac Artery
3. Internal iliac Arte
4. Common iliac artery

Correct answer: 2. External iliac Artery

Explanation: Within the rectus sheath, there is anastomosis between superior epigastric artery (a branch of the internal thoracic artery) and inferior epigastric artery (a branch of the external iliac artery). The external iliac arteries are branches of the common iliac artery, which is, in turn, a branch of the abdominal aorta.